Isolated splenic /hepatic injury in a child most commonly managed by:-
1. Conservative management
2. Laparotomy
3. Interventional
4. Splenectomy and liver packing

Correct answer: 1. Conservative management

Explanation: Isolated splenic /hepatic injury in a child most commonly managed by conservative management. The intra-abdominal solid organs are particularly vulnerable to blunt trauma in children. Nonoperative management is the standard therapy for hemodynamically stable children with blunt solid organ injury. Those who fail to respond to nonoperative management usually do so within the first 12 hours.